Antibody sensitive testing is usually done on
1. Blood agar
2. Chocolate agar
3. MacConkey agar
4. Muller Hinton agar

Correct answer: 4. Muller Hinton agar

Explanation: (Ref: Ananthanarayan 9th edition, p40)